The commonest anatomical position of appendix is
1. Retrocaecal
2. Pelvic
3. Paracaecal
4. Preileal

Correct answer: 1. Retrocaecal

Explanation: A. i.e. Retrocaecal- Vermiform appendix develops from midgut loops, is supplied by appendicular branch of ileocolic artery. It has mesoappendix (mesentery) but no teniaMost common posiion of vermiform appendix is retrocecal (12 o'clock = 65%) followed by pelvic or 4 o'clock positions